Pautrier's micro-abcess is a histological feature of
1. Sarcoidosis
2. TB
3. Mycosis fungoides
4. Pityriasis lichenoides chronica

Correct answer: 3. Mycosis fungoides

Explanation: In mycosis fungoides, T cells characteristically form bandlike aggregates within the superficial dermis and invade the epidermis as single cells and small clusters (Pautrier microabscesses).